Treatment of choice for low fistula in Ano is
1. Fistulotomy
2. Staged Surgery
3. IV antibiotics alone
4. None of the above

Correct answer: 1. Fistulotomy

Explanation: Ans. (a) FistulotomyRef: Bailey and Love 27th Edition, Page 1365* Low fistulas: Inter sphincteric and trans-sphincteric fistulas are removed via fistulotomy or fistulectomy* LIFT: Ligation of intersphincteric fistula tract involves the disconnection of inner opening at the level of intersphincteric plane, without dividing the sphincter complex.